Which among the following is the allosteric activator of acetyl CoA carboxylase?
1. Malonyl CoA
2. Acetyl CoA
3. Citrate
4. Biotin

Correct answer: 3. Citrate

Explanation: Acetyl-CoA carboxylase is an allosteric enzyme and is activated by citrate, which increases in concentration in the well-fed state and is an indicator of a plentiful supply of acetyl-CoA. Citrate promotes the conversion of the enzyme from an inactive dimer to an active polymeric form, with a molecular mass of several million. Ref: Botham K.M., Mayes P.A. (2011). Chapter 23. Biosynthesis of Fatty Acids & Eicosanoids. In D.A. Bender, K.M. Botham, P.A. Weil, P.J. Kennelly, R.K. Murray, V.W. Rodwell (Eds), Harper's Illustrated Biochemistry, 29e.